Which of the following adrenergic receptors are metabotropic receptors?
1. Alpha 1
2. Alpha 2
3. Beta 1
4. All the above

Correct answer: 4. All the above

Explanation: All adrenergic receptors are GPCR or metabotropic receptors.